Richest source of Vitamin D is
1. Milk
2. Fish liver oils
3. Sunlight
4. Carrots

Correct answer: 2. Fish liver oils

Explanation: Sources of vitamin D: Fish, egg yolk, liver, butter, cheese. Sunlight is also a good source of Vitamin D but upto 50% of the world population is not exposed to sunlight i.e. due to lack of sunlight in some countries and even due to more work load indoors. So this cannot be considered as richest source of Vitamin D. EXTRA READING ON TOPIC (Vitamin D): Active moiety: Calcitriol Main biochemical role: Calcium and Phosphate absorption from intestine and their reabsorption from kidneys. Deficiency: Rickets in children, Osteomalacia in adults, Osteoporosis in elderly